Minimum chlorine content of water after chlorination should be ?
1. 0.5mg\/L
2. 5 mg\/L
3. 0.05mg\/L
4. 50mg\/L

Correct answer: 1. 0.5mg\/L

Explanation: park's textbook of preventive medicine 23rd edition *principle of chlorination is to ensure that a "free"residual chlorine of 0.5 mg/litre at end of one hour contact .